During cranial autopsy, facial incision is started at:
1. At occiput
2. Behind the ear lobe
3. In front of the ear lobe
4. At vertex

Correct answer: 2. Behind the ear lobe

Explanation: Scalp incision: * A coronal incision is made in the scalp, which starts from the mastoid process just behind one ear, and is carried over the vertex of the scalp to the back of the opposite ear (intermastoidal incision)* The scalp is reflected forwards to the superciliary ridges, and backwards to a point just below to the occipital protuberance. Any bruising of the deeper tissues of the scalp or injury to the bone should be noted.